In the following food items, which one has the highest 'Glycemic Index'?
1. Corn-flakes
2. Brown rice
3. Ice-cream.
4. Whole wheat bread

Correct answer: 1. Corn-flakes

Explanation: Ans. is 'a' i.e. Corn-flakesRef. Sunday edition of Hindustan Times, 16th November; 2003, various internet sites.Glycemic index is a measure of a food's ability to elevate blood sugar level.The indexing is done by comparing a foodstuffs digestion rate to that of glucose, with a glycemic index of 100.The higher the glycemic index, the faster will it enter the blood and increase the blood sugar level.Glycemic index is used to label the food as good and evil. Foods with a high glycemic index of 60 and above are considered unhealthy as they break down quickly and spike blood sugar level. Low glycemic foods enter the blood stream slowly and provide sustained long term energy (maintain stable blood sugar levels)High glycemic food Glucose100Baked potato85Corn flakes84Honey73Watermelon72White bread70-72Table sugar65Ice Cream61Moderately Glycemic food Orange Papaya58White rice58Brown rice55Popcorn55Sweet potato54Mango55Banana50Carrots49Orange44Low Glycemic food Apple37Yoghurt33Skimmed milk32Kidney beans27Peanuts14